Pure red cell aplasia is associated with:
1. Thymoma
2. Renal cell carcinoma
3. Hepatocellular carcinoma
4. Prostate carcinoma

Correct answer: 1. Thymoma

Explanation: -Pure red cell aplasia is a primary marrow disorder in which only erythroid progenitors are suppressed. -In severe cases, red cell progenitors are completely absent from the marrow. -It may occur in association with neoplasms, particularly thymoma and large granular lymphocytic leukemia; drug exposures; autoimmune disorders & parvovirus infection.